Which of the following feature about thyroid gland is TRUE?
1. Normal thyroid is 12-20g in size
2. Poorly vascular
3. Firm in consistency
4. Four parathyroid glands located laterally and posteriorly to thyroid gland

Correct answer: 1. Normal thyroid is 12-20g in size

Explanation: The thyroid is located anterior to the trachea between the cricoid cartilage and the suprasternal notch. It weighs 12-20 g, highly vascular, and soft in consistency. Four parathyroid glands are located posterior to each pole of the thyroid. The recurrent laryngeal nerves traverse the lateral borders of the thyroid gland and must be identified during thyroid surgery to avoid injury and vocal cord paralysis. Ref: Harrison, E-18, P-2911